The most serious complication of acute hemolytic anemia in G6PD deficiency is:
1. Acute renal failure
2. Congestive cardiac failure
3. Cerebral infarction
4. Acute liver failure

Correct answer: 1. Acute renal failure

Explanation: The most serious threat from acute hemolytic anemia is the development of ARF. Ref: Harrison's principles of internal medicine, 18th edition ; Page :879